Inflammatory bowel disease with transmural Involvement and skip lesions is?
1. Crohn'S disease
2. Ulcerative colitis
3. Shigella infection
4. Clostridium infection

Correct answer: 1. Crohn'S disease

Explanation: mnemonic: FIND CASH Fissures Ileum Non-caseating granuloma Distortion of mucosal architecture Creeping fat, Crypt abscess, Cobblestone appearance. Aphthous ulcer Skip lesions Hose pipe like bowel TEXT BOOK OF ROBBINS BASIC PATHOLOGY NINTH EDITION PAGE.589